Peptidoglycan layer of cell wall is thicker in:
1. Gram positive bacteria
2. Fungi
3. Gram negative  bacteria
4. Parasites

Correct answer: 1. Gram positive bacteria

Explanation: Differences between Cell Wall of Gram positive and Gram negative bacteria